Most common cause of lower gastro intestinal bleeding is -
1. Diverticulosis
2. Colorectal carcinoma
3. Angiodysplasia
4. Anal fissure

Correct answer: 1. Diverticulosis